60-year-old male known case of sarcoidosis is referred to cardiology unit of the tertiary health care centre from the respiratory clinic. Which of the following finding is involved in cardiac sarcoidosis ?
1. First-degree heartblock
2. Dilated cardiomyopathy
3. Echo features suggestive ofARVC
4. All of theabove

Correct answer: 4. All of theabove

Explanation: Cardiac Sarcoidosis : Diffuse granulomatous involvement- Ejection fraction <10%. Patchy cardiac involvement - Arrhythmias Atrioventricular (AV) node is infiltrated- Heart block Ventricular tachycardia- Sudden death Dilated/hypertrophic cardiomyopathy Echo features suggestive of Arrhythmogenic right ventricular cardiomyopathy